A patient sustained injury to the upper limb 3 yrs back; he now presents with valgus deformity in the elbow and paresthesias over the medial border of the hand. The injury is likely to have been -
1. Supracondylar # humerus
2. Lateral condyle # humerus
3. Medial condyle # humerus
4. Posterior dislocation of the humerus

Correct answer: 2. Lateral condyle # humerus

Explanation: There is no confusion for this one as patient has developed tardy ulnar nerve palsy with valgus deformity.
Cubitus vulgus occurs with fracture lateral condyle.